Peri lymph contains:
1. Na+
2. K+
3. Mg++
4. Cl-

Correct answer: 1. Na+

Explanation: (Na+) (11-D) (205-Maqbool 1lth)Composition of Inner ear fluids EndolymphPerilymphCSF* Na+ (mEq/L)5140152* K+ (mEq/L)144104* Protein (mg/dL)126200-40020-50* Glucose10-248570* Perilymph - resembles ECF and is rich in Na low in K* Endolymph - resembles ICF and is rich in K* low in Na+